In which of the following condition does odynohagia occur? 1. Achalasia 2. Herpes esophagitis 3. Monilial esophagitis 4. Barrett's esophagus
1. 1 & 2
2. 2 & 3
3. 1,2 & 3
4. 1,2,3 & 4

Correct answer: 2. 2 & 3

Explanation: Odynophagia means painful swallowing, it is seen in inflammatory lesions of food passages (i.e oral cavity, pharynx and esophagus). Among the option provided Monilial esophagitis (candidal esophagitis) and herpes esophagitis are inflammatory lesions. Ref: Harrison 17/e, Page 239